Mental retardation term has been replaced by:
1. Mental deficiency
2. Mental lack
3. Mentally challenged
4. Intellectual disability

Correct answer: 4. Intellectual disability

Explanation: American Psychiatric Association (APA) is responsible for naming, defining, and describing mental disorders. In the fifth edition of the Diagnostic and Statistical Manual of Mental Disorders (DSM - 5), the APA replaced "Mental retardation" with "Intellectual disability (intellectual developmental disorder)".